Which Ca has best prognosis:
1. Carcinoma lip
2. Carcinoma cheek
3. Carcinoma tongue
4. Carcinoma palate

Correct answer: 1. Carcinoma lip

Explanation: Oral malignancy with best prognosis is carcinoma lips. Oral cancer with worst prognosis is floor of mouth carcinoma.